In infants, defecation often follows a meal. The cause Gastroileal reflex of colonic contractions in this situation is
1. Gastroileal reflex
2. Enterogastric reflex
3. Increased circulating levels of GCR
4. Gastrocolic - reflex

Correct answer: 4. Gastrocolic - reflex

Explanation: Gastrocolic reflex refers to the contraction of colon induced by entry of food into the stomach. This reflex results in an urge to defaecate after a meal. Because of this, defaecation after meals is a rule in children.However, in adults, the bowel training suppresses this reflex. Ref: Medical physiology, Indu Khurana